Which of the following is TRUE about "terminal cardiotocogram"?
1. Baseline oscillation of less than 5 bpm
2. Absent accelerations
3. Late decelerations with spontaneous uterine contractions
4. All of the above

Correct answer: 4. All of the above

Explanation: Terminal cardiotocogram" is an abnormal nonstress test pattern that reliably forecast severe fetal jeopardy. It includes: Baseline oscillation of less than 5 bpm Absent accelerations Late decelerations with spontaneous uterine contractions Ref: Cunningham F.G., Leveno K.J., Bloom S.L., Hauth J.C., Rouse D.J., Spong C.Y. (2010). Chapter 15. Antepartum Assessment. In F.G. Cunningham, K.J. Leveno, S.L. Bloom, J.C. Hauth, D.J. Rouse, C.Y. Spong (Eds), Williams Obstetrics, 23e.